Visual center is present in?
1. Parietal lobe
2. Occipital lobe
3. Frontal lobe
4. Temporal Lobe

Correct answer: 2. Occipital lobe

Explanation: Ans. is 'b' i.e., Occipital lobe(Ref: BDC 6h/e Vol. III p. 421-425)Occipital lobe has the following areas related to visionPrimary visual cortex (strike area, area 17):It is present in medial surface of occipital lobe on upper lip and lower lip of calcarine sulcus.